Seman's squeeze technique is used in treatment of:-
1. Erectile dysfunction
2. Premature ejaculation
3. Retrograde ejaculation
4. Antegrade ejaculation

Correct answer: 2. Premature ejaculation

Explanation: Seman's squeeze technique is used in treatment of premature ejaculation Premature ejaculation - repeated ejaculation in less than 1 minute It is common among young men during first sexual encounters, and usually improves with increasing sexual experience. During orgasm phase of sexual cycle Treatment - SSRI's Clomipramine Tramadol use suugested by some studies Behavioral technique: (1) Squeeze technique (2) Seman's technique (stop and start technique)